A child presented with history of unilateral purulent nasal discharge with occasional bloody discharge from the same side, the diagnosis is:
1. Antrochoanal polyp
2. Foreign body
3. Angiofibroma
4. Rhinosporidiosis

Correct answer: 2. Foreign body

Explanation: (b) Foreign body(Ref. Scott Brown, 8th ed., Vol 2; 243)Antrochoanal polyp usually presents with unilateral nasal obstruction. Nasal discharge if occurs is mucoid.Angiofibroma presents with repeated torrential or profuse epistaxis in pubertal males.Rhinosporidiosis presents with epistaxis and a mulberry nasal mass.